Arborescent burns are seen in:
1. Flame burns
2. Lightning stroke
3. Heat stroke
4. Electrocution

Correct answer: 2. Lightning stroke

Explanation: Ans. B: Lightning stroke An almost pathognomonic cutaneous feature of lightning stroke is known as feathering/lightning prints/ Arborescent/ Filigree burns It comprises of linear, fernlike, superficial skin markings (also called keraunographic marks) that may disappear after 1-2 days. These cutaneous manifestations of lightning injury usually consist of erythematous streaks that do not blanch on diascopy. They are usually found over the shoulders or the flanks. Erythema begins to fade in 4-6 hours with no residual skin changes. This bizarre cutaneous manifestation is probably related to the flashover phenomenon, from the transmission of static electricity along the superficial vasculature. Recognition of this sign may save the life of an unaccompanied comatose patient and should signal the need for immediate resuscitation if a victim is not breathing and has no pulse. Joule burn (electric mark) is specific and diagnostic of contact with electricity and is found at the entry of the current.